Most common tumor in children is -
1. Leukemia
2. Lymphoma
3. Wilm's tumor
4. Neuroblastoma

Correct answer: 1. Leukemia

Explanation: Ans. is `a' i.e., Leukemias o Most common childhood tumor --> Leumemia o Most common childhood leukemia --> ALL o Most common solid tumor of childhood --> Brain tumor o Most common tumor in infancy -----> Neuroblastoma o Most common abdominal tumor in child ----> Neuroblastoma